Pyridoxine is given with which antitubcrcular drug?
1. Rifampicin
2. INH
3. Pyrazinamide
4. Ethambutol

Correct answer: 2. INH

Explanation: (B) INH # INH (isoniazid) causes peripheral neuritis and can be prevented by pyridaxine (B6)> Peripheral neuropathy associated with isoniazid occurs in up to 2% of patients given 5 mg/kg. Isoniazid appears to interfere with pyridoxine (vitamin B6) metabolism.> Risk of isoniazid-related neurotoxicity is greatest for patients with preexisting disorders that also pose a risk of neuropathy, such as HIV infection; for those with diabetes mellitus, alcohol abuse, or malnutrition; & for those simultaneously receiving other potentially neuropathic medications, such as stavudine. These patients should be given prophylactic pyridoxine (25-50 mq/d)DrugSide effectsManagementIsoniazidHepatitisMonitor AST/limit alcohol consumption/monitor for hepatitis symptoms/educate patient/ stop drug at first symptoms of hepatitis (nausea, vomiting, anorexia, flulike syndrome) Peripheral neuritisAdminister vitamin B6 Optic neuritisAdminister vitamin B6/stop drug SeizuresAdminister vitamin B6